A 36 years old woman has absence of menses for the last 4 months. Pregnancy test is negative. Serum levels of LH & FSH are raised. Serum estradiol level is low. These findings suggest:
1. Bilateral tubal obstruction
2. PCOD
3. Premature menopause
4. Exogenous estrogen administration

Correct answer: 3. Premature menopause

Explanation: Premature menopause Ovarian failure occurring 2 SD in years before the mean menopausal age in a population. It is clinically defined as secondary amenorrhoea for at least 3 months with | FSH level | FSH/LH ratio Low E2 level In a woman under 40 years of age. Average age of attaining menopause World = 51 years India = 47 years